Which nerve is compressed by aneurysm of posterior communicating artery in circle of willis
1. Hypophysis cerebri
2. Trochlear nerve
3. Oculomotor nerve
4. Optic nerve

Correct answer: 3. Oculomotor nerve